Most common side effect of prilocaine is:
1. Methemoglobinemia
2. Respiratory arrest
3. Skin allergy
4. None

Correct answer: 1. Methemoglobinemia

Explanation: Prilocaine
It is similar to lidocaine but does not cause vasodilatation at the site of infiltration and has lower CNS toxicity due to larger volume of distribution and faster clearance. One of its metabolites has the potential to cause methemoglobinaemia. Prilocaine has been used for infiltration, nerve block, spinal and intravenous regional anaesthesia. 
Reference: Essentials of Medical Pharmacology Eighth Edition KD  TRIPATHI  page no 392